Longest diameter of fetal skull is?
1. Occipito frontal
2. Submentobregmatic
3. Suboccipito frontal
4. Mento vertical

Correct answer: 4. Mento vertical

Explanation: Ans. (d) Mento verticalRef : D.C. Dutta 8th ed. / 94-97DIAMETERS OF SKULL* The antero-posterior diameters of the head which may engage are:DiametersMeasurment (In Cm)PresentationSuboccipito-bregmatic9.5 cmVertexSuboccipito-frontal10 cmVertexOccipito - frontal11.5 cmVertexMento-vertical: extend from mid-point of chin to the highest point on the saggital suture14 cmBrowSubmento-vertical11.5 cmFaceSubmento-bregmatic9.5 cmFace * The transverse diameters which are concerned in the mechanism of labor are# Biparietal diameter - 9.5 cm: extends between two parietal eminences.# Super-subparietal - 8.5 cm# Bitemporal diameter: 8 cm# Bimastoid diameter - 7.5 cm